Smallest fluid compartment of body is:
1. Intracellular
2. Transcellular
3. Extracellular
4. Interstitial

Correct answer: 2. Transcellular

Explanation: Transcellular fluid is the fluid in the lumen of The structures lined by epithelium. It is about 1 L i.e 15 ml/kg of body weight. Interstitial fluid is a part of ecf . It consists of fluid that is outside the vascular system i.e lymph and it constitutes two to three percent of the total body weight. Extracellular fluid constitutes 20% of body weight Intracellular fluid constitutes 40% of body weight